In a blast injury, which of the following organ is least vulnerable to the blast wave?
1. G.I. tract
2. Lungs
3. Liver
4. Ear drum

Correct answer: 3. Liver

Explanation: Ans. is 'c' i.e. Liver "The structures injured by the primary blast wave in order of prevalence, are the middle ear, the lungs and the bowel"- Bailey and LoveThe hollow organs containing gas or air are most readily damaged by blast waves. The homogenous tissues like liver and muscles are least likely injured.All explosives are accompanied by blast pressure wave which is mainly responsible for injury to the bodyWhen the body is impacted by a blast pressure wave, the wave's couples into the body and set up a series of stress waves. Which are capable of causing injury particularly at air fluid interface. These waves cause injury to the following organs: -Auditory systemRupture of tympanic membraneDislocation of ossiclesWidespread disruption of inner ear.Respiratory systemInjury to the lung parenchyma complex, particularly notable at the alveolar capillary membraneGI tractPerforation is common in stomach, small intestines & caecumInjury to gas filled viscera is more common in under water explosions than in air blasts.EyeConjunctival hemorrhage (it suggests seroious underlying abnormality)